The function common to neutrophils, monocytes, and macrophages is:
1. Immune response is reduced
2. Phagocytosis
3. Liberation of histamine
4. Destruction of old erythrocytes

Correct answer: 2. Phagocytosis

Explanation: Phagocytic cells are: neutrophils monocytes macrophages